The commonest organism causing cellulitis is ?
1. Streptococcus pyogenes
2. Streptococcus faecalis
3. Streptococcus viridans.
4. Microaerophilic streptococci

Correct answer: 1. Streptococcus pyogenes

Explanation: Ans. is 'a' i.e., Streptococcus pyogenes